Acetic acid staining of cervix shows the following EXCEPT:
1. Squamous metaplasia
2. Cervical carcinoma in situ
3. Cervical polyp
4. Cervical dysplasia

Correct answer: 3. Cervical polyp

Explanation: Ans. is 'c' ie Cervical polyp While performing a colposcopy, after visualization with naked eyes, acetic acid is applied for better visualization.The application of acetic acid coagulates the proteins of the nucleus and cytoplasm and makes the protein opaque and white.The acetic acid does not affect mature, glycogen producing epithelium.The cells which contain a large amount of protein are most affected.So dysplastic cells and cancerous cells which contains a large amount of protein (chromatin) are most affected.Metaplastic cells are also somewhat affected because the metaplastic epithelium is thin, it does not turn white or opaque but instead appears grey.